Generalised hypercementosis seen in:
1. Paget's disease
2. Hypothyroidism
3. Trauma
4. All of the above

Correct answer: 1. Paget's disease